SI unit of the brightness of a point light source is
1. Candela
2. Lumen
3. Lux
4. Lambert

Correct answer: 1. Candela

Explanation: DescriptionQuantity measured nameRecommended unitBrightness of point sourceLuminous intensityCandelaFlow of lightLuminous fluxLumenAmount of light reaching surfaceIllumination IlluminanceLuxAmount of light re-emitted by surfaceBrightness luminanceLambert